The most common type of total anomalous pulmonary venous connection is -
1. Supracardiac
2. Infracardiac
3. Mixed
4. Cardiac

Correct answer: 1. Supracardiac

Explanation: Ans. is 'a' i.e., Supracardiac Type ITAPVC with anomalous connection at the supracardiac level is the most common type accounting for about 45% of all cases. Total anomalous pulmonary venous connection o Total anomalous pulmonary venous connection (TAPVC) is characterized by abnormal drainage of pulmonary veins into the right heart either by direct connection into the right atrium or into its tributaries. o According to the site or level of connection of the pulmonary veins to the systemic venous system TAPVC has been classified into four types. Type I (45%) : Anomalous connection at supracardiac level (Pulmonary veins drain into left irmonimate vein or SVC) Type II (25%) Anomalous connection at cardiac level (Pulmonary veins joint the coronary sinus or enter right atrium directly) Tyep III (25%) Anomalous connection at infracardiac level (Pulmonary veins drain into the portal vein) Type IV (5%) Anomalous connection at multiple levels